Most common site of prostatic carcinoma ?
1. Anterior lobe
2. Median lobe
3. Posterior lobe
4. Central zone

Correct answer: 3. Posterior lobe

Explanation: Ans. is 'c' i.e., Posterior lobeImpoant facts about prostateHas 5 lobes :- Anterior, posterior, median, right lateral & left lateralProstatic carcinoma is associated with involvement of posterior lobe (or peripheral zone) BPH is associated with enlargement of median lobe (or central zone)Anterior lobe has no glandular tissue hence adenoma seldom occurs here.Median lobe is rich in glandular tissue; BPH & adenoma are common here.During prostectomy both capsules (true and false) are left behind as prostatic venous plexus lies between true and false capsule (in contrast during thyroidectomy false capsule is left behind and thyroid is removed along with true capsule as venous plexus lies deep to true capsule)Blood supply is through :-Inferior vesical arteryMiddle rectal arteryInternal pudendal arteryVenous drainage is through plexus around sides and bases of the gland. Valveless communication exist between prostate and vertebral venous plexus (Batson's plexus), through which prostate cancer can spread to vertebral column and in brain.